Webbing of neck increased carrying angle, low posterior hairline and short fourth metacarpal are characteristics of –
1. Klinefelter syndrome
2. Turner syndrome
3. Cri du chat syndrome
4. Noonan syndrome

Correct answer: 2. Turner syndrome

Explanation: Noonan syndrome presents with most features similar to Turner's Syndrome. Webbing of the neck increased carrying angle, the low hairline is present in both Noonan's and Turner's Syndrome but short fourth metacarpal is characteristic of Turner's syndrome only.
Turner's syndrome 

Defect in chromosome
karyotype is XO
Phenotypic females only (females sex only)

Manifestations

Short Stature
Webbed neck     
Low posterior hairline
Characteristic facies
Micrognathia
Ear abnormalities
Cubitus valgus
Board chest with widely spaced nipples

Cardiac defect :

Most commonly coarctation of the aorta and bicuspid aortic valve
Sensorineural hearing loss
Short fourth metacarpal
No intellectual disability
Lymphedema of hand & feet